Human papillomatosis is caused by -
1. HSV
2. HPV
3. HIV
4. HBV

Correct answer: 2. HPV

Explanation: HPV causes human papillomatosis REF:MICROBIOLOGY ANANTHA NARAYANAN NINTH EDITION PAGE.553